Rickettsial pox is transmitted by a house mice mite. The symtoms similar to chicken pox is caused by which of the following?
1. Rickettsia ricketsiae
2. Rickettsia akari
3. R. typhi
4. Rickettsia conori

Correct answer: 2. Rickettsia akari

Explanation: Rickettsial pox, caused by Rickettsia akari, is transmitted to humans by the house mouse mite Liponyssoides sanguineus. It is also known as vesicular rickettsiosis, a disease similar to chicken pox. The disorder begins with the bite of an infected mite, which results in a black eschar. The classic triad of rickettsialpox consists of fever, eschar, and rash. It is endemic in US. It is self-limited over 7-10 days. Rickettsia rickettsia is the cause of the tick-borne Rocky Mountain spotted fever. R. typhi is the flea-borne cause of endemic typhus. Rickettsia conori causes Mediterranean spotted fever, also known as African tick typhus.